Kernohan notch phenomenon is seen with:
1. Uncal herniation
2. Subfalcine herniation
3. Cerebellar herniation
4. None of the above

Correct answer: 1. Uncal herniation

Explanation: Kernohan notch phenomenon is usually caused by subdural hematomas. It is characterized by motor palsy on ipsilateral side of primary lesion.
i.e lesion on right side of brain results in right sided motor palsy due to indentation over left cerebral peduncle becuase of uncal or lateral transtentorial herniation.